Bronchiectasis means..............of bronchi -
1. Inflammation
2. Dilatation
3. Cavitation
4. All

Correct answer: 2. Dilatation

Explanation: Ans. is 'b' i.e., Dilatation Bronchiectasis Bronchiectasis is a disease characterized by permanant dilatation of bronchi and bronchioles caused by destruction of the muscle and elastic tissue, resulting from or associated with chronic necrotizing infections. Bronchiectasis is associated with ?Congenital conditions Cystic fibrosis o Primary ciliary dyskinesia (Kartagener syndrome) o Intralobar sequestration of the lung. Post infectious necrotizing pneumonia o Bacteria --> M. Tuberculosis, staph. aureus. H. influenzae, Pseudomonas. o Viruses Adenovirus, HIV, influenza virus. o Fungus --> Allergic bronchopulmonary aspergillosis. Bronchial obstruction ---> Tumor, foreign body, mucus impaction. Other conditions --> RA, SLE, IBD, post-transplantation.